Stasis as a cause of thrombosis is important in:
1. Sickle cell Anemia
2. Venous circulation
3. Polycythemia
4. All of the above

Correct answer: 4. All of the above